Ego is governed by:
1. Pleasure principle.
2. Reality principle.
3. Comparative principle.
4. All of the above.

Correct answer: 2. Reality principle.